Von Willebrand's factor is synthesized in which one of the following -
1. Vascular endothelium
2. Macrophages
3. Liver
4. Eosinophils

Correct answer: 1. Vascular endothelium

Explanation: The Von willebrand factor is synthesized in the endothelial cells ,megakaryocytes and platelets While the principal site of synthesis of factor VIII is the liver Reference :textbook of Pathology ,7th edition ,Author: Harsha Mohan, page number 314.